True about competitive inhibition with first order kinetics
1. Km increased, Vmax same
2. Vmax increased, Km same
3. Km same, Vmax decrease
4. Km same, Vmax increase

Correct answer: 1. Km increased, Vmax same

Explanation: Ans. (a) Km increased, Vmax sameType of InhibitionKmVmaxCompetitive inhibitionINCREASEDSAMENon-competitive inhibitionSameDECREASEDCompetitive Inhibtion: Substrate and inhibitor, both compete for same site on enzyme.Non-competitive Inhibition: Substrate and inhibitor both bind at different sites in the enzyme.